Sensory nerve supply to the capsule of TMJ:
1. Auriculotemporal
2. Masseter
3. Facial
4. All of the above

Correct answer: 1. Auriculotemporal

Explanation: Branches of auriculotemporal  nerve:

Slender filaments to the posterior part of the capsule of TM].
One or two thick branches to the parotid gland which mingle with the branches of the facial nerve in its substance.

iii) Cutaneous branches to the auricle and temple.